Immunoglobulin transported through the placenta is
1. IgA
2. IgG
3. IgM
4. IgE

Correct answer: 2. IgG

Explanation: IgG is the only immunoglobulin class to cross the placenta and therefore is the most abundant immunoglobulin in newborns. Isotype-specific transport of IgG across the placenta occurs with a preference for IgG1 and IgG3 subclasses.IgG also mediates opsonization of antigen through binding of antigen-antibody complexes to Fc receptors on macrophages and other cells.IgM is a Millionaire molecule, largest. IgA - Secretory Ig. IgE - AnaphylaxisJawetz 27e pg: 137